Slip ring technology is used in
1. First generation CT
2. Ultrasound
3. MRI
4. Spiral CT

Correct answer: 4. Spiral CT

Explanation: A Slip ring is an electromechanical device that allows the transmission of power and electrical signals from a stationary to a rotating structure. A slip ring can be used in any electromechanical system that requires rotation while transmitting power.